Characteristic feature of Otosclerosis are all except-
1. Conductive deafness
2. Positive rinne's test
3. Paracusis willisii
4. Mobile ear drum

Correct answer: 2. Positive rinne's test

Explanation: You are aware of all options given in Question.
Just Remember: The following otoscopic findings in otosclerosis.
Remember:

Tympanic membrane is normal and mobile in 90% cases. (i.e. option d is correct).
Schwartz sign—Flammingo cases pink colour of tympanic membrane is seen in 10% cases. It indicates active focus with increased vascularity.
Stapes footplate—Shows a rice grain / biscuit type appearance
Blue mantles are seen histopathologically.